All of the following represent disorders or protein misfolding, EXCEPT:
1. Alzheimer's disease
2. Tuberculosis
3. Cystic fibrosis
4. Creutzfeldt - Jakob disease

Correct answer: 2. Tuberculosis

Explanation: Tuberculosis is not due to protein misfolding. Abnormal folding of proteins lead to pathologic process including loss of function or gain of toxic activity, which result from accumulation of misfolded and aggregated protein in specific tissue. Tissue deposition of misfolded protein result in cell impairement and death leading to clinical symptoms in affected individual. Ref: Current Hypotheses and Research Milestones in Alzheimer's Disease By Ricardo B. Maccioni page172